All of the following drugs are ototoxic except:
1. Chloroquine
2. Cotrimoxazole
3. Cisplatin
4. Furosemide

Correct answer: 2. Cotrimoxazole

Explanation: Mainly cochleotoxic drugsDihydrostreptomycinKanamycinNeomycinTobramycinAmikacinFurosemideEthacrynic acidBumetanideCisplatinNitrogen mustardSalicylatesQuinine Mainly vestibulotoxic drugsStreptomycinGentamicinMinocycline